MCARDLE's maximum allowable sweat rate for 4 hours is
1. 3.5 ltr
2. 21 ltrs
3. 2.5ltrs
4. 4.5 ltrs

Correct answer: 4. 4.5 ltrs

Explanation: Mc Ardle's maximum allowable sweat rate:4.5 litre/ 4 hours. Predicted 4 hr sweat rate (P4SR) in comfort zone is 1-3 L Park's Textbook of Preventive and Social Medicine, 25th edition, Page No. 792